10 Weeks pregnant lady, best method of abortion is
1. Misoprostol + mifepristone
2. Diatation and curettage
3. Vaccum aspiration
4. Methotrexate and misprostol

Correct answer: 3. Vaccum aspiration

Explanation: Vacuum evacuation is the most efficient method of termination upto 12 wks of pregnancy.Vacuum AspirationDone under paracervical block, cervical os is dilated through hegar's dilators. Instrument used is Karman suction cannula. Suction pressure is 60-70cms of Hg. End point of suction is when:No more material is sucked outGripping of cannula by contracting smaller uterus Grating sensationAppearance of bubbles in cannulaMerits: OP procedureLow failure rate-<1%Complications like bleeding, perforation, infection are <2%Mortality <2%(Refer: Mudaliar and Menon's Clinical Obstetrics, 11th edition, pg no: 494)(Refer: Shaw's Textbook of Gynaecology, 15th edition, pg no: 245)